8 Year old boy presented with swelling on both
sides of the face, below the ears of 4 days duration.
It first started on the left side and then 3 days later on the right side

Cause for the disease will be
1. Herpes simplex virus
2. Cytomegalo virus
3. Paramyxo virus
4. Hepatitis c virus

Correct answer: 3. Paramyxo virus